The closed mouth technique for mandibular nerve block is
1. Clark and Holmes technique
2. Akinosi-Vazarani technique
3. Gow gates technique
4. Angelio sergenti technique

Correct answer: 2. Akinosi-Vazarani technique